Which of the following drugs is not used in Juvenile Myoclonic Epilepsy (JME)?
1. Topiramate
2. Zonisamide
3. Carbamazepine
4. Valproate

Correct answer: 3. Carbamazepine

Explanation: Juvenile myoclonic epilepsy (JME) is a generalized seizure disorder of unknown cause that appears in early adolescence and is usually characterized by bilateral myoclonic jerks that may be single or repetitive.The myoclonic seizures are most frequent in the morning after awakening and can be provoked by sleep deprivation. Consciousness is preserved unless the myoclonus is especially severe.Carbamazepine useful in focal seizures.Ref: Harrison; 19th edition; Page no: 2544